All except one predispose to angle closure glaucoma:
1. Small cornea
2. Flat cornea
3. Shallow AC
4. Short axial length of eye ball

Correct answer: 2. Flat cornea

Explanation: B i.e. Flat cornea Primary angle closure glucoma is more common (predisposed) in females, shallow anterior chamber, small corneal diameter, and short axial length (hypermetropes) not in deep AC and myopesQ. Anatomical Predisposing Factors to Primary Angle Closure Glaucoma 1. Shallow anterior chamber Q 2. Anterior location of iris-lens diaphragm 3. Narrow entrance to chamber angle (proximity of peripheral iris to cornea facilitate angle . closure) 4. Small cornea (diameter) Q 5. Short axial length of eye Q (found in hypermetropes) 6. Axial (A-P) growth of lens brings its anterior surface closer to cornea & equatorial growth slackens the suspensory ligament leading to progressive shallowing of anterior chamber